A patient presents with history of episodic painful edema of face and larynx. Which of the following is likely to be deficient –
1. Complement C3
2. Complement C5
3. C1 Esterase Inhibitor
4. Properidin

Correct answer: 3. C1 Esterase Inhibitor

Explanation: Recurrent episodes of edema of face and larynx suggest the diagnosis of hereditory angioneurotic edema caused by deficiency of C1 esterase inhibitor.